Dales vasomotor reversal phenomenon occurs with ?
1. Dopamine
2. Adrenaline
3. Nor Adrenaline
4. All of the above

Correct answer: 2. Adrenaline

Explanation: Ans. is 'b' Le., Adrenaline Adrenaline*iyen by slow i.v. infusion or S.C. injection causes rise in systolic but fall in diastolic BP. o Kis-due to a receptor mediated vasoconstriction and fall is due to 132 mediated vasodilation. If an a blocker is given before, only fall in BP seen due to (3, mediated action - Vasomotor reversal of dale. Dale's vasomotor is due to blockadge of a-receptor and stimulation of [3, receptors. Remember In Dale's vasomotor reversal Neurotransmitter- Adr Blokcade - a - receptors Stimulation - [32-receptors Re-reversal of vosomotor reversal is due to propranolol -blockers).